Radiation induced cancer is an example of:
1. Stochastic effect
2. Deterministic effect
3. Both 1 and 2
4. None of the above

Correct answer: 1. Stochastic effect